Which among the following is a parentral iron forumalation
1. Iron hydroxy polymaltose
2. Ferrous fumarate
3. Ferric ammonium citrate
4. Iron sorbitol citric acid complex

Correct answer: 4. Iron sorbitol citric acid complex

Explanation: Ans) d (Ironsorbital citric acid complex) Ref KDT 6th edOral iron preparations include:Ferrous sulphate Ferrousgluconate Ferrous fumarateColloidal ferric hydroxide Ferroussuccinate Iron choline citrateIron calcium complex Ferric ammonium citrate Ferrous aminoateFerric glycerophosphate Iron hydroxyl polymaltoseOrganically prepared iron complex for parentral use:Iron- dextranIron sorbitol citric acid complex